Curschmann's crystals are seen in -
1. Bronchial asthma
2. Bronchiectasis
3. Chronic bronchitis
4. Wegener's granulomatosis

Correct answer: 1. Bronchial asthma

Explanation: Pathology of Asthma
Gross -

Lungs are overdistended because of overinflation and there may be a small area of atelectasis.
The most striking macroscopic finding is occlusion of bronchi and bronchioles by thick tenacious mucus plugs.

Histology -

Characterized by the presence of numerous eosinophils and neutrophils.

Curschmann's spiral - Whorls of shed epithelium in mucous plugs.
Charcot -Leyden crystals - Collection of crystalloids made up of eosinophilic membrane protein.
The other characteristic histological finding of Asthma is collectively called Airway remodelling, it includes -

Thickening of the basement membrane of the bronchial epithelium.
Edema and an inflammatory infiltrate in the bronchial walls with a prominence of eosinophils and mast cells.
An increase in the size of submucosal glands.
Hypertrophy of bronchial wall muscle.

The "airway remodelling" contributes to airflow obstruction.